T/t of alcohol withdrawal -
1. B-blocker
2. BZD
3. Amitryptiline
4. SSRIs

Correct answer: 2. BZD